Resting membrane potential depends mainly on-
1. K
2. Na
3. Cl
4. HCO3

Correct answer: 1. K

Explanation: Ans. is "a' i.e., K o This question has been repeated in many exams.o The RMP is principally due to concentration difference (chemical difference) of K+ in ECF and ICF. In neurons, the resting membrane potential is usually about -70 mV, which is close to the equilibrium potential for K+. Here, it is worth noting that RMP is close to the equilibrium potential of K+ but the value of RMP is exactly same as equilibrium potential of Cl- It is because other ions also diffuse through membrane, though their effect is very- little.IonEquilibrium potential (Isoelectric potential or Nernst potential) Na++60 mVK+-90 mVC1-70 mVRMP in neurons is -70 mV